Factor which increases the GFR are all except:
1. Increase in glomerular hydrostatic pressure
2. Increase in tubular hydrostatic pressure
3. Efferent arteriolar constriction
4. Decrease in plasma oncotic pressure

Correct answer: 2. Increase in tubular hydrostatic pressure

Explanation: Factors affecting the glomerular filtration rate:

Changes in renal blood flow.
Changes in glomerular capillary hydrostatic pressure.
Changes in systemic blood pressure.
Afferent or efferent arteriolar constriction.
Changes in hydrostatic pressure in Bowman’s capsule.
Ureteral obstruction. 
Edema of kidney inside tight renal capsule.
Changes in concentration of plasma: dehydration, hypoprotinemia, etc (minor factors).
Changes in K+
Changes in glomerular capillary permeability.
Changes in effective filtration surface area.

Key Concept
Decrease in tubular hydrostatic pressure increases the GFR.
Reference: Ganong’s Review of Medical Physiology T W E N T Y - F I F T H   E D I T I O N page no 679